Enophthalmos caused by fracture of -
1. Floor of orbit
2. Medial wall of orbit
3. Lateral wall of orbit
4. Roof of orbit

Correct answer: 1. Floor of orbit

Explanation: It is seen in Orbital blowout fractures where orbital floor is fractured. 3 factors responsible for enopthalmos : Escape of Orbital fat into maxillary sinus. Backward traction on the globe by entrapped inferior rectus muscle. Enlargement of orbital cavity from displacement of fragments. Ref: AK Khurana 6thE pg423